Wof antimetabolite anti neoplastic agent is used in treatment of mesothelioma
1. 6 thioguanine
2. 5 FU
3. Busulfan
4. Pemetrexed

Correct answer: 4. Pemetrexed

Explanation: Pemetrexed Mech of action:- The newer congener of Mtx primarily targets the enzyme thymidylate synthase. Though, it is also a DHFRase inhibitor, the pool of THFA is not markedly reduced. Adverse effects:- mucositis, diarrhoea, myelosuppression, itching, erythematous rash mostly involving the hands and feet, 'hand- foot syndrome' is quite common. Dexamethasone can relieve it. Uses:- In combination with cisplatin,pemetrexed is approved for treatment of mesoepithelioma and non-small cell lung carcinoma. Ref:- kd tripathi; pg num:-863